Colour of nitrous oxide cylinder is?
1. Blue
2. Blue body with white shoulder
3. White
4. Black

Correct answer: 1. Blue

Explanation: N2O (blue) Cyclopropane (orange) Oxygen (black & white) Entonox (blue & white)